Winging of scapula is due to paralysis of -
1. Pectoralis major
2. Serratus anterior
3. Pectoralis minor
4. Latissimusdors.

Correct answer: 2. Serratus anterior

Explanation: Ans. is 'b' i.e., Serratus anterior Long thoracic nerve supplies the serratus anterior muscle, paralysis of which is manifested by winging of the scapula and loss of overhead abduction,Long thoracic nerve supplies the serratus anterior muscle, paralysis of which is manifested by winging of the scapula and loss of overhead abduction.Nerve palsyFeaturesMedian nerve palsyPointing indexPen test (for abductor pollicis brevis)Loss of oppositionApe thumb deformityCarpel tunnel syndromeBenediction testUlnar nerveBook test /Froment's sign (For adductor pollicisCard test (for palmar interossei)Egawa's test (for dorsal interossei)Atrophy of hypothenar eminenceUlnar claw handWartenberg's signRadial nerveWrist dropThumb dropFinger dropCommon peroneal nerveFoot dropLateral cutaneous nerve of the thighMeralgia parestheticaErb's palsyPoliceman tip deformityLong thoracic nerve (Bell's nerve)Winging of scapulaLoss of overhead abduction